One of the following is having the least density -
1. Chylomicron
2. HDL
3. LDL
4. VLDL

Correct answer: 1. Chylomicron

Explanation: Chylomicrons

HDL is the smallest with least lipid contents and therefore is the most dense lipoprotein. Chylomicrons are largest with maximum lipid contents and therefore are the least dense lipoprotein molecules.